Non-protein nitrogen product in food
1. Sucrose
2. Triglyceride
3. Urea
4. Cholesterol

Correct answer: 3. Urea

Explanation: NPN refers to all N2containing substances other than proteins. include urea, uric acid, creatinine.